Type II Hypersensitivity is seen in?
1. Pernicious anaemia
2. Serum sickness
3. Arthus phenomenon
4. Pathergy phenomenon

Correct answer: 1. Pernicious anaemia

Explanation: Ref: Robbins Pathology E-Book, P 139* Pernicious anaemia is associated with anti-parietal cell antibodies and is an example of type 2 hypersensitivity reaction.* Choice B and C are type 3 hypersensitivity reactions.* Choice D is type 4 hypersensitivity phenomenon.DiseaseTarget AntigenMechanisms of DiseaseClinicopathologic ManifestationsAutoimmune hemolytic anemiaRed blood cell membrane proteinsOpsonization and phagocytosis of red blood cellsHemolysis, anemiaAutoimmune thrombocytopenic purpuraPlatelet membrane proteins (GpIIb:IIIa integrin)Opsonization and phagocytosis of plateletsBleedingPemphigus vulgarisProteins in intercellular junctions of epidermal cells (desmogleins)Antibody-mediated activation of proteases, disruption of intercellular adhesionsSkin vesicles (bullae)Vasculitis caused by ANCANeutrophil granule proteins, presumably released from activated neutrophilsNeutrophil degranulation and inflammationVasculitisGoodpasture syndromeProtein in basement membranes of kidney glomeruli and lung alveoliComplement- and Fc receptor-mediated inflammationNephritis, lung hemorrhageAcute rheumatic feverStreptococcal cell wall antigen: antibody cross-reacts with myocardial antigenInflammation, macrophage activationMyocarditis, arthritisMyasthenia gravisAcetylcholine receptorAntibody inhibits acetylcholine binding, down modulates receptorsMuscle weakness, paralysisGraves disease (hyperthyroidism)TSH receptorAntibody-mediated stimulation of TSH receptorsHyperthyroidismPernicious anemiaIntrinsic factor of gastric parietal cellsNeutralization of intrinsic factor, decreased absorption of vitamin B12 Abnormal erythropoiesis. anemia